True about Haemophilia A are all except
1. PTT increased
2. PT increased
3. Clotting time is increased
4. Serum levels of factor VIII are decreased

Correct answer: 2. PT increased

Explanation: Answer is B (PT is increased): It is PTT which is affected (increased) and not PT (unaffected). Haemophilia A occurs due to deficiency or reduced activity of factor VIII (antihaemophilic factor). Factor VIII is involved in the intrinsic pathway which is measured by PTT and not in extrinsic pathway which is measured as PT.